De Quervains disease is tenosynovitis of:
1. Abductor pollicis brevis and extensor pollicis longus
2. Abductor pollicis longus and extensor pollicis brevis
3. Abductor pollicis longus and extensor carpi radialis brevis
4. Abductor pollicis brevis and extensor carpi radialis longus

Correct answer: 2. Abductor pollicis longus and extensor pollicis brevis

Explanation: Ref. Textbook of Orthopedics, Ebnezar. Page. 378.
 
De Quervains TenoSynovitis

A stenosing tenosynovial inflammation of the 1st dorsal compartment which includes

abductor pollicis longus (APL) 
extensor pollicis brevis (EPB) 


Epidemiology

Woman > men
30 - 50 years old
Most commonly in the dominant wrist


Pathophysiology

Thickening and swelling of extensor retinaculum causes increased tendon friction
NOT considered an inflammatory process


Prognosis

Most cases resolve with non-operative management
 High recurrence rate